Anastomosis around the shoulder is between branches of:
1. 1st part of subclavian and 1st part of axillary artery
2. 1st part of subclavian and 3rd part of axillary artery
3. 3rd part of subclavian and 2nd part of axillary artery
4. 3rd part of subclavian and 3rd part of axillary artery

Correct answer: 2. 1st part of subclavian and 3rd part of axillary artery

Explanation: - Shoulder anastomosis occurs between branches of 1st part of subclavian artery and 3rd part of axillary artery. - Two sites of scapular anastomosis: 1. Around the body of scapula: (a) suprascapular artery (branch of the thyrocervical trunk from the first part of the subclavian artery) (b) circumflex scapular artery (branch of the subscapular artery from the third part of the axillary artery) (c) deep branch of the transverse cervical artery (branch of the thyrocervical trunk) 2. Over the acromion process: (a) acromial branch of the thoraco-acromial artery (b) acromial branch of the suprascapular artery (c) acromial branch of the posterior circumflex humeral artery.